on a patient with parathyroid adenoma how do we confirm the removal of the coresect gland after surgery ?
1. 25 % seduction in PTH within 5 min of gland removal
2. 50% reduction in PTH within 10 mins of gland removal
3. 25% reduction in PTH within 10 min of gland removal
4. 50% reduction in PTA within 5min of gland removal

Correct answer: 2. 50% reduction in PTH within 10 mins of gland removal

Explanation: ref : bailey and love 27th ed